Which of the following may create gingival deformities that require gingivoplasty to eliminate the defects:
1. Erosive Lichen planus
2. Desquamative gingivitis
3. Acute Herpetic gingivostomatitis
4. Necrotising ulcerative gingivitis

Correct answer: 4. Necrotising ulcerative gingivitis